Triad of exophthalmos, bone lesions, and diabetes insipidus is a feature of
1. Hand-schuller christian disease
2. Craniofacial dysostosis
3. Mickulicz syndrome
4. Letterer - sieve disease

Correct answer: 1. Hand-schuller christian disease

Explanation: HSCD is associated with multifocal langerhans cell histiocytosis.
Triad:

Exophthalmos
Lytic bone lesions
Diabetes insipidus.